What is the mechanism of aortic regurgitation in a case of VSD?
1. Prolapse of right coronary leaflet
2. Changes in the pressure gradient due to left to right shunt
3. Eisenmengerization
4. Congenital defect

Correct answer: 1. Prolapse of right coronary leaflet

Explanation: Aortic regurgitation in VSDIt is a rare association seen in around 5% of VSDsIt is due to prolapse of the right coronary or non-coronary leaflet of the aortic valve or bothCommon when the defect is in the infundibular septum.(Refer: Nelson's Textbook of Pediatrics, SAE, 1st edition, pg no. 2194 - 2195)